Study of small intestine using barium is called as
1. Barium meal follow through
2. Barium swallow
3. Barium enema
4. None of the above

Correct answer: 1. Barium meal follow through

Explanation: Barium investigations:Barium swallow: the study of the pharynx and esophagus up to GE junction Barium meal: the study of stomach and duodenum up to DJ flexureBarium meal follow through the study of small intestine following barium meal up to ileocaecal junction Enteroclysis: the study of small intestine by directly instilling barium and methylcellulose into the small intestine through enteroclysis tube (Bilbo-botter tube)kept beyond DJ flexureBarium enema: the study of colon by infusing barium through the rectum (Ref: Grainger and Allison's diagnostic radiology 6th edition, chapter 26)